All of the following statements about temporal arteritis are true, except:
1. Seen in elderly women
2. More common in females
3. Can lead to sudden blindness
4. Symptoms worsens on exposure to heat

Correct answer: 4. Symptoms worsens on exposure to heat

Explanation: Giant cell arteritis or temporal arteritis, is an inflammation of medium and large sized arteries. It mainly involves one or more branches of the carotid artery, particularly the temporal artery. It usually occur in women more than 50 years of age. Histopathologically, the disease is a panarteritis with inflammatory mononuclear cell infiltrates within the vessel wall with frequent giant cell formation. There is proliferation of the intima and fragmentation of the internal elastic lamina. Most dreaded complication is sudden onset of blindness. Ref: Harrison's Internal Medicine, 18th Edition, Chapter 326